Which of the following is False regarding H.Pylori infection :
1. With chronic infection urease breath test become negative
2. H.Pylori infection remain lifelong if untreated
3. Endoscopy is diagnostic
4. Toxigenic strains usually causes ulcer

Correct answer: 1. With chronic infection urease breath test become negative

Explanation: Answer is A (With chronic infection urease breath test becomes negative) Urease breath test detects H. pylon infection by 'bacterial urease activity' and remains positive till the bacteria has not been eradicated with treatment. Thus urease breath test becomes negative only after eradication of organism following treatment and not with chronic Mfection. Despite a substantial humoral antibody response infection persists indefinitely (persists life long if untreated) Invasive diagnostic test are based on Endoscopic, endoscopy is a diagnostic application. H. pylori produces several virulence factors that have been implicated in the damage of mucosa.